Which of the following does not form a filtration barrier in nephrons
1. Podocytes
2. Mesangium
3. Endothelial cell
4. Basement membrane

Correct answer: 2. Mesangium

Explanation: Filtration barrier
-        Glomerular capillary endothelium
-        Basement membrane
-        The visceral epithelium of Bowman’s capsule with podocytes